Penny test is the quality assurance test to detect
1. Fixer depletion
2. Unsafe illumination
3. Machine malfunction
4. Contaminated solution

Correct answer: 2. Unsafe illumination